Pagophagia involves eating -
1. Ice
2. Sand
3. Clay
4. Salt

Correct answer: 1. Ice

Explanation: Ans. is 'a' i.e., Ice GeophagiaEating clayPagophagiaEating icePlambophagiaEating leadAmylophagiaEating starchCoprophagiaEating fecesCautopyreiophagiaEating burnt matchesTricophagiaEating hairLithophagiaEating stonesGeomelophagiaEating raw potatoes